Measles vaccine contains the following as a preservative:
1. Streptomycin
2. Cholramphenicol
3. Neomycin
4. Thiomersal

Correct answer: 3. Neomycin

Explanation: Measles vaccines contain sorbital and hydrolysed gelatine as stabilizer, as well as small amount of neomycin as preservative but not Thiomersal. Ref: Park's textbook of Preventive and Social Medicine, 21st edition, page-138